Which of the following is seen at the time of ovulation?
1. completion of first meiotic division of oocyte
2. Inhibin A is increased
3. FSH increases steroid synthesis in granulosa cells
4. Activin causes FSH to act on granulosa cells

Correct answer: 1. completion of first meiotic division of oocyte

Explanation: Ovulation The combined LH/FSH midcycle surge is responsible for the final stage of maturation of the follicle, completion of the first meiotic division of oocyte with extrusion of first polar body and expulsion of oocyte Ref: D.C. Dutta's Textbook of Gynaecology, 6th edition, page no: 93